Adverse effects of excess potassium intake can be seen in which of the following individuals?
1. Patients with adrenal insufficiency
2. Patients with diabetes mellitus
3. Patients taking angiotensin receptor blockers
4. All the above

Correct answer: 4. All the above

Explanation: Answer- D. All the abovesupplemental potassium can lead to acute toxicity in healthy individuals.Indviduals whose urinary potassium is impaired, a potassium intake less than 4.7 g/d appropriate because of adverse cardiac effects (arrhythmias) from hyperkalemia.Drugs that commonly impair potassium excretion are, angiotensin converting enzyme inhibitors, angiotensin receptor blockers, and potassium sparing diuretics.Conditions associated impaired potassium excretion, are diabetes, chronic renal insufficiency, end stage renal disease, severe heart failure, and adrenal insufficiency.Elderly individuals are at increased risk of hyperkalemia.